Most common subtype of Basal cell carcinoma is:
1. Superficial basal cell carcinoma
2. Nodular basal cell carcinom
3. Sclerosing basal cell carcinoma
4. Pigmented basal cell carcinoma

Correct answer: 2. Nodular basal cell carcinom

Explanation: Ans. B: Nodular basal cell carcinoma Subtypes of basal cell carcinoma: Nodular basal cell carcinoma is the most common type of basal cell carcinoma and usually presents as a round, pearly, flesh-colored papule with telangiectases. As it enlarges, it frequently ulcerates centrally, leaving a raised, pearly border with telangiectases, which aids in making the diagnosis. Most tumors are observed on the face, although the trunk and extremities also are affected Cystic basal cell carcinoma is an uncommon variant of nodular basal cell carcinoma, cystic basal cell carcinoma is often indistinguishable from nodular basal cell carcinoma clinically, although it might have a polypoid appearance Pigmented basal cell carcinoma is an uncommon variant of nodular basal cell carcinoma that has brown-black macules in some or all areas, often making it difficult to differentiate from melanoma. Morpheaform (sclerosing) basal cell carcinoma is an uncommon variant in which tumor cells induce a proliferation of fibroblasts within the dermis and an increased collagen deposition (sclerosis) that clinically resembles a scar. Superficial basal cell carcinoma is often multiple, most often developing on the upper trunk or shoulders